Heart failure cells are seen in -
1. Kidney
2. Heart
3. Lungs
4. Brain

Correct answer: 3. Lungs

Explanation: Ans. is 'c' i.e., Lungs o Heart failure cells are hemosiderin containing macrophages in alveoli that are seen in left ventricular failure and denotes previous episodes of pulmonary edema.